Pharyngeal bursa is a site of origin for:
1. Craniopharyngioma
2. Chordoma
3. Thornwaldt's cyst
4. Rathke's cyst

Correct answer: 3. Thornwaldt's cyst

Explanation: Infection of pharyngeal bursa gives rise to Thomwaldt's cyst which causes postnasal discharge, halitosis and occipital headache.Chordoma arises from remnants of notochord. Craniopharyngioma arises from Rathke's pouch. Rathke's cyst also arises from Rathke's pouch and can get infected, which may extend superiorly into the cranium and gives symptoms of galactorrhoea, visual loss and hypopituitarism.